L.B.W Baby -
1. 2.9-2.6 kg
2. 2.7-2.9 kg
3. 3.2-3.5 kg
4. 1.5-2.5 kg

Correct answer: 4. 1.5-2.5 kg

Explanation: question repeated